Lens subluxation in Marfan's syndrome?
1. Inferolateral
2. Inferonasal
3. Superonasal
4. Superotemporal

Correct answer: 4. Superotemporal

Explanation: Marfan's syndrome: It is an autosomal dominant mesodermal dysplasia. In this condition, the lens is displaced upwards and temporally (bilaterally symmetrical). Systemic anomalies include arachnodactyly (spider fingers), long extremities, hyperextensibility of joints, high arched palate and dissecting aortic aneurysm.Ref: Khurana; 4th ed; Pg 202